A 25 year old lady presented with curdy white discharge from vagina is likely to be suffering from:-
1. Gonococcal vulvovaginitis
2. Candida vaginitis
3. Trichomoniasis
4. Chlamydia trachomatis

Correct answer: 2. Candida vaginitis

Explanation: Vaginitis Bacterial vaginosis Candidiasis Trichomonas vaginitis Organism Gardnerellavaginosis Candida Trichomonas vaginalis M/C PH >4.5 <4.5 >4.5 STD Not an STD Not an STD usually STD M/C Complaint Foul smelling Dirty white discharge Intense purities curdy white cottage cheese like discharge Profuse frothy greenish yellow discharge IOC Saline microscopy clue cells are seen Saline microscopy pseudohyphae seen Saline microscopy typical motile flagellated trichomonas seen Gold standard investigation Amsler's criteria nugent scoring SDA medium Diamond media DOC Metronidazole Fluconazole Metronidazole Whift test (10%KOH to discharge) (+) (-) May be (+) or (-) due to its association with bacterial vaginosis